Resonance of tympanic membrance is
1. 800 Hz
2. 800-1600 Hz
3. 3000 Hz
4. None

Correct answer: 2. 800-1600 Hz

Explanation: External auditory canal 3000 Hz Tympanic membrane 800-1600 Hz Middle ear 800 Hz Ossicular chain 500-2000 Hz Ref: Dhingra 7e pg 17.